Which of the following findings in a newborn suggests RDS
1. Onset after 6 hours of birth
2. Antenatal coocosteroid therpay in mother
3. Air bronchogram on chest X-ray
4. Term gestation

Correct answer: 3. Air bronchogram on chest X-ray

Explanation: Ans. c. Air bronchogram on chest X-ray